Resistance to chloroquine is common among strains of
1. Plasmodium falciparum
2. Plasmodium vivax
3. Plasmodium malariae
4. Plasmodium ovale

Correct answer: 1. Plasmodium falciparum

Explanation: (A) Plasmodium falciparum